All are true about ramelteon except
1. Agonist at MT1 and MT2 receptors
2. Is a substrate of CYP1A2
3. Has high addiction liability
4. Approved for treatment of insomnia

Correct answer: 3. Has high addiction liability

Explanation: All are true for ramelteon except the statement that it has high addiction liability, in clinical trials on chronic insomnia patients, continuous nightly treatment with ramelteon maintained its effect to shorten sleep latency & was found to be free of rebound phenomenon on stoppage .No dependence producing potential has been noted so far. Ref KD Tripathi 8th ed.